Good prognosis in schizophrenia is indicated by
1. Soft neurological signs
2. Affective symptoms
3. Emotional blunting
4. Insidious onset

Correct answer: 2. Affective symptoms